Flat waist sign is seen in
1. Right upper lobe collapse
2. Right middle lobe collapse
3. Left upper lobe collapse
4. Left lower lobe collapse

Correct answer: 4. Left lower lobe collapse

Explanation: FLAT WAIST SIGN Flattening of the contours of the aortic knob and adjacent main pulmonary artery. Seen in left lower lobe collapse Caused by leftward displacement and rotation of the heart